What is Boyde's method ?
1. Sex identification from pelvis
2. Age estimation from tooth
3. Identification using fingerprints
4. Identification by superimposition

Correct answer: 2. Age estimation from tooth

Explanation: Boyde's method is Age estimation from tooth . It is based on incremental growth lines on the tooth . most useful for age estimation of dead infant.